All of the following develop from the hindgut except
1. Ascending colon
2. Descending colon
3. Sigmoid colon
4. Rectum

Correct answer: 1. Ascending colon

Explanation: Ref Human embryology Inderbier Singh 10 TH EDITION Page 184 Derivatives of Hindgut: Left one-third of the transverse colon, Descending and pelvic colon, Rectum, Upperpart of anal canal, and parts of the urogenital system